HAM test is done for
1. G.P.I. anchor protein
2. Complement defect
3. Spectrin defect
4. Mannose binding protein

Correct answer: 1. G.P.I. anchor protein